Appendix of the testis develops from
1. Allantois
2. Paraneronephric duct
3. Meconephric duct
4. Cloaca

Correct answer: 2. Paraneronephric duct